Reactive tubercular arthritis:
1. Spina ventusa
2. Pott's disease
3. Poncet's disease
4. None

Correct answer: 3. Poncet's disease

Explanation: Ans. is. 'c' i. e. Poncet's disease